70-year-old woman refused to take influenza vaccine, devloped flu. Death happened 1 week after pneumonia. Causes of post influenza pneumonia:
1. Staphylococcus
2. Measles
3. Ligionella
4. CMV

Correct answer: 1. Staphylococcus

Explanation: Ans. (a) Staphylococcus Pulmonary complications of influenzae Primary influenza viral pneumonia: Least common but most severe of all pulmonary complications of influenzae Sputum production is generally scanty, but sputum may contain blood. In advanced cases, diffuse rates may be noted X-ray finding shows diffuse interstitial inflitrates. Primary influenzae pneumonia has predilection for individuals with cardiac diseases. b. Secondary bacterial pneumonia: Characterised by reapperance of fever along with sign and symptoms of bacaterial pneumonia after initial improvement. The commonest bacterial pathogens are S.pneumoniae, staphylococcus aureus, and haemophilus influenzae. Mixed bacterial and viral pneumonia: Most common Pneumoinc complication after influenza patient may show gradual progression of their acute illness or may show transient improvement followed by clinical exacerbation. Patients with mixed viral and bacterial pneumonia have less wide spread involvemnet of lung than those with primary viral pneumonia d. Worsening and exacerbation of COPD Other pumonary complications: Worsening of COPD, In children croup, sinsusitis as well as otitis media can be there